Byssinosis is seen in -
1. Cement factories
2. Textile industries
3. Iron factories
4. Grain fields

Correct answer: 2. Textile industries

Explanation: - byssinosis is due to inhalation of cotton fibre dust over long periods of time. - the symptoms are chronic cough and progressive dyspnoea ending in chronic bronchitis and emphysema. - India has a large textile industry employing 35 percent of factory workers and incidence of this disease is reported to be 7-8 percent. Reference : Park's textbook of preventive and social medicine, 23rd edition, pg no:806